Watson and Crick are associated with -
1. Discovery of helical structure of DNA
2. Association of Helicobacter pylon with chronic gastritis
3. Discovery of HIV virus
4. None of the above

Correct answer: 1. Discovery of helical structure of DNA

Explanation: They proposed the double hellical model of DNA